What is the content of Pediatric iron folic acid tablet supplied under the reproductive and child health programme?
1. Iron 60 mg, Folic Acid 500 mcg
2. Iron 100 mg, Folic Acid 500 mcg
3. Iron 500 mg, Folic Acid 100 mcg
4. Iron 20 mg, Folic Acid 100 mcg

Correct answer: 4. Iron 20 mg, Folic Acid 100 mcg

Explanation: A pediatric tablet/syrup of IFA contains: 20 mg elemental iron and 100 mcg folic acid (to be given for 100 days minimum every year till 5 years age of child) biweekly. An IFA tablet of Pregnant female contains: 60 mg elemental iron, 500 mcg folic acid (to be given for 180 days minimum in pregnancy and 180 days during lactation).